When the cry of child is characterized by a siren like
vocabulary, it is called as
1. Compensatory
2. Frightened
3. Hurt
4. Obstinate

Correct answer: 4. Obstinate